A 25-year-old man requests cholesterol screening because of a family history of premature coronary artery disease (CAD). His lipid levels reveal an elevated total and LDL cholesterol. The high-density lipoprotein (HDL) and triglyceride values are normal. His physical examination is completely normal. Which of the following is the most common cause of genetic dyslipidemia?
1. familial combined hyperlipidemia
2. familial hypercholesterolemia
3. familial defective Apo B
4. Apo C-II deficiency

Correct answer: 1. familial combined hyperlipidemia

Explanation: Familial combined hyperlipidemia has an incidence of 1/100. It is an autosomal dominant disorder and different affected family members may display different dyslipidemic phenotypes. Familial hypercholesterolemia (1/500) and familial defective Apo B (1/1000) are also common. The other two disorders (Apo C-II deficiency and lipoprotein lipase deficiency) are extremely rare.